You suspect Ca cervix in one of your patients. Which of the following would be the earliest symptom of Ca cervix?
1. Pain
2. Post coital bleed
3. Metrorrhagia
4. Menorrhagia

Correct answer: 2. Post coital bleed

Explanation: Post coital bleeding is the earliest symptom of Ca cervix. Vaginal bleeds in the form of menorrhagia or metrorrhagia may be the most common symptom. Pelvic pain is usually suggestive of advanced disease. Ref: Shaw's textbook of gynaecology, edition 13, Page - 387.